Antithyroid drug of choice in pregnancy is:
1. Propylthiouracil
2. Carbimazole
3. Propranolol
4. Lugol's iodine

Correct answer: 1. Propylthiouracil